What is diagnostic of fresh myocardial infarction in ECG :
1. QT interval prolongation
2. P mitrale
3. ST segment elevation
4. ST segment depression

Correct answer: 3. ST segment elevation

Explanation: Answer is C (ST segment elevation)